The length of distal convoluted tubule is ?
1. 2 mm
2. 5 mm
3. 8 mm
4. 12 mm

Correct answer: 2. 5 mm

Explanation: B i.e., 5 mm